Most common agent causing catheter induced urinary tract infection is:
1. E.Coli
2. Pseudomonas
3. Staphylococcus epidermidis
4. Proteus

Correct answer: 1. E.Coli

Explanation: Answer is A (E.Coli): Associate Urinary Tract Infection (CAUTI) is E.Coli. The most common etiological agent for acute uncomplicated cystitis is E.Coli The most common etiological agent for uncomplicated pyelonephritis is E. Coli The most common etiological agent for Complicated UT1 (e.g. CAUT1) is E.Coli